True statement regarding diptheria is -
1. It can be diagnosed by demonstration of antibodies by ELISA
2. Immunisation prevents carriers state
3. Treatment of contacts is not indicated
4. Iron has critical value in the production of toxin

Correct answer: 4. Iron has critical value in the production of toxin